Xanthoproteic reaction involves
1. Nitric acid
2. HCl
3. H2SO4
4. Carbolic acid

Correct answer: 1. Nitric acid

Explanation: Xanthoproteic reaction is method for determination of amount of protein soluble in solution, using concentrated nitric acid.